Treatment of choice of the sweet syndrome is -
1. Antibiotics
2. Antifungals
3. Corticosteroids
4. U-V light

Correct answer: 3. Corticosteroids